Ixekizumab is novel drug approved by the FDA for treatment of psoriasis, MOA of this drug is :
1. IL-17A agonist
2. IL-17A antagonist
3. IL-12/23 antagonist
4. PDE 4 inhibitor

Correct answer: 2. IL-17A antagonist

Explanation: Ixekizumab, approved for treatment of plaque psoriasis. It is a humanized IL-17A antagonist that works when IgG4 monoclonal antibodies selectively bind with IL-17A cytokines and inhibit their interaction with the IL-17 receptor. Secukinumab, similar to Ixekizumab, this injectable is an IgG1 monoclonal antibody that selectively binds to the IL-17A cytokine and inhibits its interaction with the IL-17 receptor. It is approved for the treatment of plaque psoriasis and psoriatic arthritis. Ustekinumab : Anti IL-12/23 Apremilast: PDE-4 inhibitor